A sewage worker presents to the emergency department with fever and jaundice. Laboratory findings reveal an elevated BUN and serum creatinine suggestive of renal failure. Which of the following antibiotics is recommended?
1. Cotrimaxozole
2. Erythromycin
3. Ciprofloxacin
4. Penicillin G

Correct answer: 4. Penicillin G